Which vaccines are recommended at birth as per the universal immunization programme?
1. BCG
2. BCG & Hepatitis B
3. BCG & DPT
4. DT & OPV

Correct answer: 2. BCG & Hepatitis B

Explanation: b. BCG & Hepatitis B(Ref: Nelson's 20/e p 3212, Ghai 8/e p 190-191)Vaccines recommended at birth as per the universal immunization programme are: BCG, OPV zero dose & Hepatitis B vaccine.